Banana and lemon sign is seen in which fetal anomalies?
1. Neural tube defect
2. Hydrops fetalis
3. Twins
4. IUD

Correct answer: 1. Neural tube defect

Explanation: Ans. is a, i.e. Neural tube defectRef. Williams Obs. 23/e, p 354, 355Signs of Spina bifida on UltrasoundSmall biparietal diameter.Ventriculomegaly.Frontal bone scalloping or the so called lemon sign.Elongation and downward displacement of the cerebellum-the so called banana sign.Effacement or obliteration of the cisterna magna.